Anemic hypoxia is due to
1. ↓PO2 in arterial blood
2. ↑PO2 in arterial blood
3. ↑PCO2 in arterial blood
4. ↓O2 content in arterial blood

Correct answer: 4. ↓O2 content in arterial blood

Explanation: Arterial PO2/ Dissolved oxygen is normal in anemic hypoxia, but the arterial oxygen content is low. This may be due to anemia, CO poisoning etc.